All are true about Zenker's Diverticulum except
1. Dohlman's produces used
2. Is a false diverticulum
3. Outpouching of Anterior pharyngeal wall
4. Boyce sign

Correct answer: 3. Outpouching of Anterior pharyngeal wall

Explanation: Is outpouching of posterior pharyngeal wall.